Hyperkalemia is caused by ?
1. Amphotiricin B
2. Beta agonists
3. Gentamycin
4. Succinylcholine

Correct answer: 4. Succinylcholine

Explanation: Ans. is 'd' i.e., Succinylcholine Drugs causing hypokalemia b agonist Licorice Penicillin derivatives Amphotericin B Theophylline Steroids a Blockers Toluene abuse Gentamicin Insulin Vitamin B12 Diuretics Carbenoxalone Important drugs causing hyperkalemia ACE inhibitors Trimethoprim Succinylcholine K+ sparing diuretic Hep. NSAIDS Pentamidine Lithium. Cyclosporine